Factor IX deficiency results in increased
1. PT
2. PTT
3. BT
4. TT

Correct answer: 2. PTT

Explanation: Ans. is 'B' i.e., PTT (Partial thromboplastin time) Partial thromboplastin time (PTT) :It tests the intrinsic and common coagulation pathways. So, a prolonged PTT canresults from deficiency of factor V, VIII (factor VIIIc, Von willebrand factor), IX, X, XI, XII, prothrombin or fibrinogen.Prothrombin time (PT) :It tests the extrinsic and common coagulation pathways. So, a prolonged PT can results from deficiency of factor V, VII, X, prothrombin or fibrinogen.Thus in common coagulation pathway defect both PT and PTT are elevated.Activated clotting time (clotting time) :It also tests the intrinsic and common coagulation system. So it is prolonged in deficiency of same factors as for prolonged PTT